Best marker for drug induced lupus is :
1. Antihistone antibodies
2. Anti ds DNA
3. ANA
4. Anti smith Ab

Correct answer: 1. Antihistone antibodies

Explanation: Answer is A (Antihistone antibodies) The best marker for Drug Induced Lupus are Antihistone Antibodies. Drug induced is rarely associate with anti ds DNA and is commonly associated with antibodies to histone (antihistone antibodies): Harrison Anti ds DNA Antibodis are rae but there is an extremely high frequency of antihistone antibodies' Robbins Drug induced lupus Syndrome of Lupus Erythymatosis like symptoms and positive ANA, that appears during therapy with certain medications and biological agent. Differences from classical SLE Less predilection for females than SLE Rarely involves kidneys and brain (CNS involvement is rare()) Rarely associated with Anti-ds-DNA antibodies (Most common ANA are Antihistone Antibodies) Usually resolves (remits) after discontinuation of offending medication. Note : Persons with HLA-D and 4 allele are of a greater risk of developing Lupus Erythematosus after administration of Hydalazine. Drug associated with SLE (Drug Induced Lupus) Antiarrhythemics Procainamide, disopyramide, propafenone Antihypertensives Hydralazine, Several ACE inhibitors and beta blockers Antithyroid Propylthiouracil Antipsychotics Chlopromazine and Lithium Anticonvulsants Carbamezapine and Phenytoin Antibiotics Isoniazid, Minocycline, Macrodantin Diuretics Hydrochlorthiazide Antihyperlipidemics Lovastatin, Simvastatin Biologics Interferon and TNF inhibitors